True about streptococcus are all except
1. Group C causes no human infection
2. Classification by lancefield based on carbohydrate antigen
3. Group B causes neonatal meningitis
4. Group B lives in female genital tract

Correct answer: 1. Group C causes no human infection

Explanation: Group C streptococci are predominantly animal pathogens. Group C strains isolated from human sources usually belong to the streptococcus equisimilis species. It can cause upper respiratory infection, as well as deep infections such as endocarditis, osteomyelitis, brain abscess and pneumoniae and puerperal sepsis in humans. Reference: Textbook of Microbiology; Anathanarayan and paniker's; 10th edition; Page no: 219